Most common sinus involved in acute sinusitis?
1. Ethmoid
2. Maxillary
3. Sphenoid
4. Frontal

Correct answer: 2. Maxillary

Explanation: The sinus most commonly involved is the maxillary followed in turn by ethmoid, frontal and sphenoid. (Ref: Diseases of ENT, PL Dhingra, 7th edition, of no. 213)